Bloom Richardson grading -
1. Carcinoma breast
2. Carcinoma lung
3. Carcinoma prostate
4. Cercinoma ovary

Correct answer: 1. Carcinoma breast

Explanation: Ans. is 'a' i.e., Carcinoma breasto Bloom Richardson Grading and its variants are used to grade breast cancers.